The structure which lies outside the femoral sheath -
1. Femoral artery
2. Femoral nerve
3. Femoral vein
4. Genitofemoral nerve

Correct answer: 2. Femoral nerve

Explanation: Ans. is 'a' i.e., Femoral nerve Femoral sheatho The femoral sheath is a funnel-shaped fascial prolongation around the proximal part of femoral vessels, situated in the femoral triangle, below the inguinal ligament. It is 3-4 cm long. It is formed by fascia iliaca.o The femoral sheath is divided into 3 separate fascial compartments by septaLateral compartment It contains femoral artery and femoral branch of genitofemoral nerve.Intermediate compartmentFemoral vein.Medial compartment (femoral canal) It is conical in shape, wider above and narrow below. The wider upper opening is known as the femoral ring, which is potentially a weak point in the lower abdomen and is the site for a femoral hernia. Femoral ring is hounded: Anteriorly by inguinal ligament, medially by a lacunar ligament, posteriorly by pectineus with its covering fascia, and laterally by septum separating it from femoral vein. Femoral canal contains lymph node of Cloquet or Rosenmuller and lymphatics.o Lateral margin of the femoral sheath is perforated by a femoral branch of genitofemoral nerve. The medial margin is perforated by the great saphenous vein. Inferiorly it merges with a perivascular sheath of femoral vessels,o Femoral nerve lies outside the femoral sheath.